First set of milk teeth appear at what age
1. 3 months
2. 6 months
3. 9 months
4. 12 months

Correct answer: 2. 6 months

Explanation: Ans. is 'b' i.e., 6 months * Temporary teeth (milk, deciduous teeth) start erupting at 6 months age.Eruption of temporary teeth(Primary dentition)ToothAge in range (months)Average age (months)Lower CI6-87Upper CI7-98Uppler LI7-98Lower LI10-12111 molar12-1413Canine17-1817[?]5II molar20-3025 Eruption of permanent teeth(Secondary dentition) Age in range (year)Average age (year)First molar6-76[?]5Central incisor7-87Lateral incisor8-98First PM9-1110Second PM10-1211Canine11-1211[?]5Second molar12-1413Third molar17-2517